A 45-year-old male has multiple grouped vesicular lesions present on the T10 segment dermatome associated with pain The most likely diagnosis is -
1. Herpes zoster
2. Dermatitis herpetiformis
3. Herpes simplex
4. Scabies

Correct answer: 1. Herpes zoster

Explanation: Ans. is 'a' i.e., herpes zoster * Here is a D/d of commonly asked vesico bullous disorders* So the crux is -Painful lesions are seen in Herpes infection.Painless lesions are seen in-Dermatitis herpetiformis Pemphigoid Pemphigus Erythema multiformeDermatomal involvement-Herpes zosterItchy lesions-Dermatitis herpetiformisIntraepidermal-Herpes and pemphigusSubepidermal-Dermatitis herpetiformis Pemphigoid Erythema multiforme